The clinical situations in which intestinal absorption is increased among the following?
1. Wilson disease
2. Pernicious disease
3. Chronic calcific pancreatitis
4. Cystic fibrosis

Correct answer: 1. Wilson disease

Explanation: Almost all clinical problems are associated with diminished intestinal absorption of one or more dietary nutrients. The only clinical situations in which absorption is increased is Wilson disease, in which absorption of copper is increased. ALSO NOTE: Another example is hemochromatosis in which iron absorption is increased. Ref: Harrison, E-18, P-2460.